Physiologial response to smokking are all except
1. Decreased HDL
2. Increased hematocrit
3. Increased heart rate and increased catecholamine release
4. Decreased caboxyhemoglobin

Correct answer: 4. Decreased caboxyhemoglobin